Angle between diazone and parazone is:
1. 30°.
2. 40°.
3. 45°.
4. 50°.

Correct answer: 2. 40°.

Explanation: Parazone – dark bands produced by longitudinally cut rods.
Diazone – Light bands produced by transversely cut rods.
Angle b/w diazone & parazone = 40°.